The virus most commonly causing aplastic crisis in hemolytic anemia is -
1. HIV
2. Herpes virus
3. Parvo virus
4. HTLV

Correct answer: 3. Parvo virus